Anesthetic agent (s) safe to use in TICP
1. Halothane
2. Thiopentone
3. Ketamine
4. Ether

Correct answer: 2. Thiopentone

Explanation: B i.e. Thiopentone Anesthetic agents safe to use in raised intracranial pressure (ICP) are thiopentone, propofol & etomidateQ